The movement of bone in response to its own growth is termed as:
1. Rotation
2. Secondary displacement
3. Primary displacement
4. Differentiation

Correct answer: 3. Primary displacement